A single umbilical artery in newborn increases the risk of
1. Meningomyelocoele
2. Occult Renal anomaly
3. Omphalocoele
4. Gastrochisis

Correct answer: 2. Occult Renal anomaly

Explanation: The umbilical cord should have 2 arteries and 1 vein. A single umbilical artery is associated with an increased risk for an occult renal anomaly.Reference: Nelson Textbook of Paediatrics; 20th edition; Chapter 94; The Newborn Infant